A patient presents with antrochoanal polyp arising from the medial wall of the maxilla. Which of the following would be the best management for the patient?
1. FESS with polypectomy
2. Medial maxillectomy
3. Caldwell luc
4. Intranasal polypectomy

Correct answer: 1. FESS with polypectomy

Explanation: The Caldwell-Luc operation is required to remove the polyp completely from the site of its origin and to deal with the coexistent maxillary sinusitis. These days FESS (FUNCTIONAL ENDOSCOPIC SINUS SURGERY) superseded other modes of polyp removal. Caldwell -Luc operation is avoided. In case of antrochoanal polyps arising from the medial wall of the maxilla, FESS along with polypectomy is preferred. Ref - PL DHINGRA diseases of ear nose and throat, 6th edition, page no 131